Wiskott-Aldrich syndrome is a
1. X-linked recessive disease
2. X-linked dominant disease
3. Autosomal dominant disease
4. Autosomal recessive disease

Correct answer: 1. X-linked recessive disease

Explanation: Robbins basic pathology 6th edition. Capter diseases of immunity. page no. 236. Wiskott -Aldrich syndrome is an x- linked recessive disease characterised by thrombocytupenia,eczema and vulnerability to recurrrent infections, ending in early death.